Which of the following are theories of regional Analgesia:
1. Specificity theory and Gate control theory
2. Specific receptor theory and Gate control theory
3. Specific receptor theory and Membrane expansion theory
4. Specificity theory and Membrane expansion theory

Correct answer: 3. Specific receptor theory and Membrane expansion theory